Intramembranous ossification is the source of ?
1. Flat bone
2. Long bone
3. Cancellous bone
4. Bone of the epiphysis

Correct answer: 1. Flat bone

Explanation: Intramembranous ossification is the development of bone from mesenchymal condensation. Mesenchyme cells give rise to osteoblasts, which lay down bone matrix and eventually form bone spicules. When the osteoblasts become enclosed, they are called osteocytes. The frontal, parietal, squamous portion of the temporal, and parts of the occipital bone are derived from intramembranous ossification.
Long bones develop from a cartilage model, which is called endochondral ossification Growth in length occurs by division of cells in the epiphyseal plate. Cancellous bone is spongy, or trabecular bone, which can result after either intramembranous or endochondral ossification.